what is true regarding chassaignac's tubercle ?
1. it is landmark of otic ganglion
2. it is seen in occipital region of skull
3. it is anterior tubercle of transverse process of c6 vertebra
4. all the above

Correct answer: 3. it is anterior tubercle of transverse process of c6 vertebra

Explanation: ref : bd chaurasia